Thiazides false is -
1. Used in CCF
2. Causes hyperglycemia
3. Increases uric acid concentration in serum
4. Increases calcium excretion in urine

Correct answer: 4. Increases calcium excretion in urine

Explanation: Ans. is 'd' i.e., Increases calcium excretion in urine o Thiazides decrease renal Ca+2 excretion. About other options o Thiazides can be used in hypertension, heartfailure, nephrolithiasis due to idiopathic hypercalciuria, and nephrogenic diabetes insipidus. o Thiazides can cause hyperglycemia by decreasing insulin release. o Thiazides can cause hyperuricemia by decreasing tubular secretion of uric acid.